A 30-yrs-old nurse whose job requires frequent hand washing; has noted a small erosive skin lesion between third inter digital web of right hand. The best therapy for this condition would be:
1. Topical 5 flurouracil
2. Topical clotrimazole
3. Oral griseofulvin
4. Topical hydrocortisone

Correct answer: 2. Topical clotrimazole

Explanation: The patient has developed candidial intertrigo. The most important factor in management is to keep the hands dry as far as possible. Topical clotrimazole for two weeks is often sufficient for treatment